When two objects come in contact an exchange takes place. This is known as:
1. Galton exchange
2. Locard exchange principle
3. Chertillions system
4. Hasse rule

Correct answer: 2. Locard exchange principle

Explanation: Ans: bRef: Forensic Parikh, 6th ed, p. 5.35 & 5th ed, p. 443